Which of the following is not done for diagnosis of parotid tumor
1. MRI
2. CT
3. Open surgical biopsy
4. FNAC

Correct answer: 3. Open surgical biopsy

Explanation: Open surgical biopsy is not preferred in parotid tumors.